On sectioning of an organ at the time of autopsy, afocal, wedge-shaped firm area is seen accompaniedby extensive hemorrhage, with a red appearance. Thelesion has a base on the surface of the organ. Thisfindings is typically of
1. Lung with pulmonary thromboembolism
2. Heart with coronary thrombosis
3. Liver with hypovolemic shock
4. Kidney with septic embolus

Correct answer: 1. Lung with pulmonary thromboembolism

Explanation: . Lung with pulmonary thromboembolism